On thyroid function test, TSH value is raised and
t4 value is decreased. Referred diagnosis is
1. Hyperthyroidism
2. Primary hypothyroidism
3. Secondary hypothyroidism
4. Subclinical hypothyroidism

Correct answer: 2. Primary hypothyroidism

Explanation: IF TSH raised ans T4 is decreased then its primary.
IF both are decreased then its secondary.